Acceptable noise levels in bed room
1. 40dB
2. 35dB
3. 20dB
4. 25dB

Correct answer: 4. 25dB

Explanation: Acceptable noise levels Expressed in dB (A), sound pressure levels conforming to weighting curve (A) Environment Place Acceptable noise level dB(A) Residential Bed room 25 Living room 40 Commercial Office 35-45 Conference 40-45 Restaurants 40-45 Industrial Work shop 40-60 Laboratory 40-50 Educational Class room 30-40 Library 35-40 Hospitals Wards 20-35 Ref: Park 25th edition Pgno : 779